Two internal cerebral veins fuse to form
1. Middle cerebral vein
2. Anterior cerebral vein
3. Great cerebral vein
4. Inferior cerebral vein

Correct answer: 3. Great cerebral vein

Explanation: The two internal cerebral veins unite together beneath the splenium of corpus callosum to form the great cerebral vein(of GALEN).*After a short backward course, it joins the Inferior sagittal sinus to form the straight sinus.The tributaries are :Internal cerebral veinsBasal veinsVeins from colliculiVeins from cerebellum and adjoining parts of occipital lobe(Ref: Vishram Singh textbook of clinical neuroanatomy second edition pg-181)